Which of the following has the highest modulus of elasticity?
1. Dentin
2. Enamel
3. Amalgam
4. Composite Resin

Correct answer: 2. Enamel

Explanation: Enamel is a brittle substance with a comparatively high modulus of elasticity, a low proportional limit in tension, and a low modulus of resilience.
Reference: PHILLIPS’ SCIENCE OF DENTAL MATERIALS, 12th ed page no 67